One of the following disease will show urinary bladder calcification radiologicaly which resemble fetal head in pelvis-
1. Tuberculosis
2. Chronic cystitis
3. Malignancy
4. Schistomiasis

Correct answer: 4. Schistomiasis

Explanation: Schistosomiasis - is the commonest cause of calcification in the wall of bladder. Thin curvilinear calcification outlines a bladder of normal size and shape. Calcification spreads proximally to involve the distal ureters (appearing as two parallel lines) in 15%." This is maximum. I could lay my hands on. But this paragraph points towards schistosomiasis. - Schistosomiasis causes calcification in the wall of the bladder which outlines the bladder. A full bladder will appear as a fetal head in pelvis.